The recent treatment of short bridle passable stricture of urethra in the penile and bulbous urethra is?
1. Internal urethrotomy with Thompson-Walker's urethrotome
2. Optical internal urethrotomy
3. Syme's operation
4. Wheelhouse operation

Correct answer: 2. Optical internal urethrotomy

Explanation: Ans. is 'b' i.e., Optical internal urethrotomy